Hanging is defined as :
1. Suspension of body a ligature, body weight acting as constricting force
2. Suspension of body by ligature after death
3. Obliteration of air passages by external compression
4. Mechanical interference to respiration

Correct answer: 1. Suspension of body a ligature, body weight acting as constricting force

Explanation: A i.e. Suspension of body, body weight acting as constricting force